In rectus sheath which branch of aorta make anastomosis with superior epigastric artery -
1. Subclavian artery
2. External iliac artery
3. Internal iliac artery
4. External carotid A

Correct answer: 2. External iliac artery

Explanation: The superior epigastric artery is a branch of the internal thoracic artery and the inferior epigastric artery is a branch of the external iliac artery. Superior and inferior epigastric arteries anastomose in the rectus sheath.